Which of the following local anesthetic is a vasoconstrictor
1. Lidocaine
2. Procaine
3. Bupivacaine
4. Ropivacaine

Correct answer: 4. Ropivacaine